Which one of the following clearly states the role of cerebellum in motor performance:
1. Planning and programming of movement
2. Convert abstract thought into voluntary action
3. Initiation of skilled voluntary action
4. Smoothens and coordinates ongoing movements

Correct answer: 4. Smoothens and coordinates ongoing movements

Explanation: D i.e. Smoothens and coordinates ongoing movement Cerebellum smoothens & coordinates ongoing movement in motor performance this is the reason why lesion of cerebellum causes: - Ataxia (lack of coordination of movement) - Asynergia (lack of coordination b/w different group of muscles) - Astasia (Unsteady voluntary movement).